Streptococcus pyogenes is -
1. Gram positive cocci
2. Grain negative cocci
3. Gram positive bacilli
4. Gram negative bacilli

Correct answer: 1. Gram positive cocci